Not a feature of Stein Leventhal syndrome is :
1. Increased androgens
2. Increased or normal oestrogen
3. Galactorrhoea
4. Increased LH

Correct answer: 3. Galactorrhoea

Explanation: Galactorrhoea